Epidemic relapsing fever is transmitted by?
1. Louse
2. Soft tick
3. Hard tick
4. Rat flea

Correct answer: 1. Louse

Explanation: ANSWER: (A) LouseREF: Park textbook of preventive and social medicine 20th edition page 684 "Epidemic relapsing fever is transmitted by Louse"Always remember:Epidemic typhus Endemic typhus Epidemic relapsing fever Endemic relapsing feverLouse Rat flea Louse Soft tickDiseases transmitted by louse can be remembered as "PERT": Pediculosis, Epidemic typhus, Relapsing fever (Epidemic), Trench fever.Diseases transmitted by soft tick can be memorized as 'QRS": Q-fever, Relapsing fever (Endemic) by Soft tickDiseases transmitted by hard tick can be memorized as "Hard tick Takes Very Kind Babe": Tick typhus (Rocky Mountain spotted fever), Tick Paralysis, Tick fever, Tularemia, Viral encephalitis (Russian spring summer encephalitis), Viral hemorrhagic fever, Kyasanur Forest Disease, Babesiosis